Road - to health chart was given by -
1. John snow
2. David Morley
3. Koch
4. Henrey Ducant

Correct answer: 2. David Morley

Explanation: Road to health chart was designed by David Morley. REF. PARK'S TEXTBOOK OF PREVENTIVE AND SOCIAL MEDICAL 21ST EDITION. PAGE NO - 502